Aggrecan in
1. Receptor over platelets
2. A molecule present in osteoid tissue
3. Granules in leukocytes
4. Important component of cartilage

Correct answer: 4. Important component of cartilage

Explanation: Aggrecan is the major proteoglycan component of cartilage. It is composed of several glycosaminoglycans (hyaluronic acid, chondroitin sulfate and keratin sulfate) and both link and core proteins.